Emergency treatment for TGV -
1. Balloon septostomy
2. Oxygen
3. Ventilation
4. Digoxin

Correct answer: 1. Balloon septostomy

Explanation: Ans. is 'a' i.e., Balloon septostomy